Epinephrine not used in –
1. Uveitis glaucoma
2. Open angle glaucoma
3. Aphakic glaucoma
4. Neovascular glaucoma

Correct answer: 3. Aphakic glaucoma

Explanation: Non-selective sympathomimetic drugs (epinephrine, dipivefrin) are contraindicated in angle closure glaucoma. They should be avoided in aphakic glaucoma as they can cause macular edema in aphakic patients.